A 19 yrs old man met with accident and sustained internal injury in the abdomen. The fibres in the Nervus erigentes are lesioned , leading to disability /loss of following function -
1. Ejaculation
2. Erection
3. Sweating
4. Salivation

Correct answer: 2. Erection

Explanation: Nervi erigentes - Pelvic splanchnic nerve (S2,3,4) causes/controls- Defecation Urination Erection of erectile tissues of the external genitalia Ejaculation and Sweating is controlled by sympathetic system . Salivation is controlled by parasympathetic system through cranial nerve 7 and cranial nerve 9.